Cephalosporin with anti pseudomonal activity -
1. Cefazoline
2. Cefoperazone
3. Ceftriaxone
4. Cefuroxime

Correct answer: 2. Cefoperazone

Explanation: Ans. is 'b' i.e., Cefoperazone Drugs acting against Pseudomonas.o Penicillins - Piperacillin, Carbenicillin, Ticarcillin, Mezlocillin,o Cephalosporins - Ceftazidime, Cefoperazone, Cefepime.o Carbapenems - Imipenem, meropenemo Monobactams - Aztreonam.o Aminoglycosides - Tobramycin, Gentamycin, Amikacin,o Fluroquinolones - Ciprofloxacin, Levofloxacin, Norfloxacin.,o Other - Polymixin B, Colistin.